Otospongiosis is inherited as
1. Autosomal dominant
2. Autosomal recessive
3. X linked dominant
4. X linked recessive

Correct answer: 1. Autosomal dominant

Explanation: aetiology Anatomical basis Heredity: Autosomal dominant trait with the incomplete penentrance. Race: Whites are affected more than blacks. Sex: Females are affected twice as often as males. (Ref: Textbook of diseases of ENT, PL Dhingra, 7th edition, pg no.95)